A 50year old with history of jaundice in the past has presented with RUQ abdominal pain. Examination and investigations reveals chronic calculous cholecystitis. The liver function tests are within normal limits and on ultrasound examination, the common bile ducts is not dilated. Which of the following will be the procedure of choice in her
1. Laparoscopic cholecystectomy
2. Open choledocholithotomy with CBD exploration
3. ERCP + choledocholithotomy followed by laparoscopic cholecystectomy
4. Laparoscopic Cholecystectomy followed by ERCP +choledocholithotomy

Correct answer: 1. Laparoscopic cholecystectomy

Explanation: In the given question, there was an episode of jaundice, but at present, LFT is normal and CBD is not dilated. The best option is laparoscopic cholecystectomy only Management of CBD stones associated with GB stones Pre-operatively detected stones Experienced laparoscopic surgeon - Cholecystectomy and choledochotony in same suiting Inexperienced laparoscopic surgeon - pre-op ERCP with stone removal and laparoscopic cholecystectomy later Unsuspected stones found at the time of cholecystectomy Experienced Laparoscopic surgeon - Laparoscopic CBD exploration and stone retrieval through the cystic duct. Laparoscopic choledochotomy and stone extraction Inexperienced laparoscopic surgeon - Convert to open procedure and remove CBD stones. Complete the cholecystectomy and refer the patient for ERCP. Conversion to an open procedure is preferred over ERCP because the success rate of ERCP is not 100% Ref: Sabiston 20th edition Pgno :1496